Defence Mechanism which explains "compulsions" in a patient with obsessive-compulsive disorder?
1. Reaction formation
2. Regression
3. Undoing
4. Displacement

Correct answer: 3. Undoing

Explanation: Three ego defence mechanisms of obsessive-compulsive disorder are isolation, undoing, and reaction formation.The role of defence mechanism isolation is to safeguards a person from anxiety-provoking impulses. Undoing is associated with a compulsive act that is carried out in an effort to stop or undo the consequences that the patient unreasonably foresees from a threatening obsession.Reaction formation involves evident patterns of behaviour and consciously experienced feelings and thoughts that are particularly contrary to the underlying impulses.